Narrowest part of infantile larynx is:
1. Supraglottic
2. Subglottic
3. Glottic
4. None of the above

Correct answer: 2. Subglottic

Explanation: The diameter of cricoid cartilage is smaller than the size of glottis, making subglottis the narrowest part